Not product of transcriptiona) tRNAb) mRNAc) rRNAd) cDNAe) New strand of DNA
1. ab
2. de
3. cd
4. bd

Correct answer: 2. de

Explanation: In transcription RNA is formed from DNA.